Tentative cuts are seen in:
1. Homicide
2. Suicide
3. Throttling
4. Infanticide

Correct answer: 2. Suicide

Explanation: Ans: b (Suicide) Ref: Reddy, 27th ed, p. 179Tentative cuts are usually seen in suicide.Difference b/w Suicidal wounds and homicidal woundsSuicidal woundsHomicidal woundsWounds are present on the left side of the neck.It is usually on the sidesWound is high and above the hyoid cartilage.Low,on or below thyroid cartilage.Tentative cuts present.Absent.Tailing present.Absent.Defensive wounds absent.Present.Weapon may be firmly grasped due to cadaveric spasm.Fragments of clothes hair etc may be grasped.